Most Anterior Structure on Tibial Plateau :
1. Anterior Horn of Lateral Meniscus
2. Anterior Horn of Medial Meniscus
3. Anterior Cruciate Ligament
4. Ligamentum Patella

Correct answer: 2. Anterior Horn of Medial Meniscus

Explanation: Anterior Horn of Medial Meniscus is the most anterior structure attached on the Intercondylar Area on the Superior Surface of Tibia. fig:- structure attached on the Intercondylar Area of Tibia. mnemonicfor remembering ligaments anterior to posterior-"Medical College Lucknow, Lucknow Medical College"